Severe disability in primary osteoarthritis of hip is best managed by -
1. Arthrodesis
2. Arthroplasty
3. Mc Murray's osteotomy
4. Intra-articular hydrocortisone and physiotherapy

Correct answer: 2. Arthroplasty

Explanation: The primary aim of surgery is relief of pain, while secondary aim is to restore movements, increase stability deformity correction.
In early stage when a fair amount of hip movements is still present, osteotomy may be used.
However, in severe arthritis with functional disability, arthroplasty provides best results and significantly improves daily functioning. Total hip replacement (THR) is most commonly used arthroplasty of hip.